Which bone tumor occurs in the epiphysis?
1. Osteoclastoma
2. Ewing's sarcoma
3. Chondro-myxoid fibroma
4. Osteosarcoma

Correct answer: 1. Osteoclastoma

Explanation: Osteoclastoma also known as giant cell tumour of bone is a potentially malignant that arises in the cancellous end of long bones in the young. These neoplasms arise in the epiphysis. Most common sites are lower end of radius, upper end of tibia, lower end of femur. Osteosarcoma and chondromyxoidfibroma are metaphyseal tumours while Ewing's sarcoma is diaphyseal in origin. Ref: Essential Orthopedics by Maheshwari 3rd Edition, Page 216; Campbel's Orthopaedics 11th Edition, Page 793-854.